Fordyce spots are from
1. Sabaceous glands
2. Sweat glands
3. Endocrine glands
4. Mammary glands

Correct answer: 1. Sabaceous glands